Normal semen characteristics are all except
1. Coagulates soon after ejaculation
2. Seminal vesicle fluid contributes 60% of semen volume
3. Fructose derived from prostate provides ATP for sperm movement
4. Semen released gets liquefied within 30 minutes of ejaculation

Correct answer: 3. Fructose derived from prostate provides ATP for sperm movement

Explanation: Fructose derived from prostate provides ATP for sperm movement.